Which one of the following is a distinguishing feature of Edward's syndrome
1. Hypotonia
2. Hypotelorism
3. Holoprosencephaly
4. Rocker bottom feet

Correct answer: 4. Rocker bottom feet

Explanation: Rocker bottom foot, also known as congenital vertical talus, is an anomaly of the foot.
It is characterized by a prominent calcaneus (heel bone) and a convex rounded bottom of the foot.
It gets its name from the foot's resemblance to the bottom of a rocking chair.